A baby is born prematurely at 29 weeks gestation by caesarean delivery done for fetal distress. Neonate develops tachypnea, flaring, subcostal and intercostal retractions immediately after birth. Chest radiography shows bilateral, diffuse, ground glass appearance, air bronchograms and poor lung expansion. What is the best treatment plan in the present case?
1. Oxygen therapy
2. Surfactant administration and respiratory support
3. Emergency surgical repair of tracheoesophageal fistula
4. Only observation at this point

Correct answer: 2. Surfactant administration and respiratory support

Explanation: b. Surfactant administration and respiratory support(Ref: Nelson's 20/e p 850-57)The given scenario indicates a diagnosis of moderate - severe respiratory distress syndrome. So, the treatment of choice is: surfactant administration and respiratory support